Shigella are be divided into subgroup on the basis of ability to ferment -
1. Lactose
2. Maltose
3. Fructose
4. Mannitol

Correct answer: 4. Mannitol

Explanation: Ans. is 'd' i.e., Mannitol Fermentation of mannitol is of importance in classification Shigella Mannitol fermenting Mannitol nonfermenting . Sh. flexneri (sub group B) Sh. dysenteriae (sub group A) . Sh boydii (sub group C) . Sh. Sonnei (sub group D)